TNF and IL1 are produced by -
1. Neutrophils
2. Monocytes
3. Activated Macrophages
4. Lymphocytes

Correct answer: 3. Activated Macrophages

Explanation: Tumor Necrosis Factor (TNF) and Interleukin-1 (IL-1)

TNF and IL-l serve critical roles in leukocyte recruitment by promoting adhesion of leukocytes to endothelium and their migration through vessels.
These cytokines are produced mainly by activated macrophages and dendritic cells; TNF is also produced by T lymphocytes and mast cells, and IL-l is produced by some epithelial cells as well.
The secretion of TNF and IL-1 can be stimulated by microbial products, immune complexes, foreign bodies, physical injury, and a variety of other inflammatory stimuli.